Thalidomide is used in all, EXCEPT:
1. Erythema nodosum leprosum
2. HIV neuropathy
3. HIV associated ulcer
4. Multiple myeloma

Correct answer: 2. HIV neuropathy

Explanation: Thalidomide is indicated for the treatment of patients with erythema nodosum leprosum and multiple myeloma. In addition, it has orphan drug status for mycobacterial infections, Crohn's disease, HIV-associated wasting, Kaposi sarcoma, lupus, myelofibrosis, brain malignancies, leprosy, graft-versus-host disease, and aphthous ulcers. Also Know: Thalidomide should never be taken by women who are pregnant or who could become pregnant while taking the drug.It is best known for the severe, life-threatening birth defects it caused when administered to pregnant women.